IgE binds to which cell ?
1. T cells
2. B cells
3. Mast cells
4. NK cells

Correct answer: 3. Mast cells

Explanation: IgE binds to Mast cells and basophils, and mediate Type I hypersensitivity.